what is the anticoagulant of choice in electrolyte estimation ?
1. lithium heparin
2. trisodium citrate
3. EDTA
4. all of the above

Correct answer: 1. lithium heparin

Explanation: (Anticoagulant) : * Is a substance that prevents blood from coagulation or clotting. * The most common anticoagulants used in hematology are: 1. EDTA: Ethylen Diamine Tetraacetic acid -CBC , RBC MORPHOLOGY 2. Sodium citrate - FOR COAGULATION STUDIES 3. Heparine -ABG (ELECTROLYTES), IMMUNOPHENOTYPING ,LEUKOCYTE FUNCTION DEFECT , OSMOTIC FRAGILITY TEST REF : ROBBINS 10TH ED